Somatic innervation to the pelvic organs is
1. Greater splanchnic nerve
2. Lesser splanchnic nerve
3. Pudendal nerve
4. Ilioinguinal nerve

Correct answer: 3. Pudendal nerve

Explanation: For most of its pelvic course, the femoral nerve (L2, L3, L4) travels within the substance of the psoas muscle and then exits its lateral side to pass under the inguinal ligament. It supplies sensation to the anterior thigh and motor innervation to the extensors of the knee.